Tattooing in old decomposed body can be visualized by use of all except ?
1. H2O2 3%
2. Gamma rays
3. Infrared photography
4. Examination with magnifying glass

Correct answer: 2. Gamma rays

Explanation: Ans. is 'b' i.e., Gamma rays Latent tattoo marks are faded marks and they can be visualized by Use of ultraviolet light Infrared photograpy Rubbing the part and examining under magnifying glass If tattoo marks are obscured by decomposition they can be visualized by treating with 3 % H2O2. Tatto marks can be developed by treating the skin by 0.5% caustic potash. Histopathology of local lymph nodes for pigment.